A person comes with fracture tibia with swelling of lower leg pulse feeble but palpable. Intacompatmental pressure is raised. What is the next step in management?
1. Fasciotomy
2. External fixation
3. Lower limb venography
4. Interlock nail

Correct answer: 1. Fasciotomy

Explanation: CRUSH SYNDROME: Clinical features and treatment The compromised limb is pulseless and becomes red, swollen and blistered; sensation and muscle power may be lost. The most important measure is prevention. From an intensive care perspective a high urine f low is encouraged with alkalization of the urine with sodium bicarbonate, which prevents myoglobin precipitating in the renal tubules. If oliguria or renal failure occurs then renal haemofiltration will be needed. If a compartment syndrome develops, and is conf irmed by pressure measurements, then a fasciotomy is indicated. Excision of dead muscle must be radical to avoid sepsis. Similarly, if there is an open wound then this should be managed aggressively. If there is no open wound and the compartment pressures are not high, then the risk of infection is probably lower if early surgery is avoided. REF:Apley's system of orthopaedics- 9th edn - pg no 681.